All are markers of Wilms' tumor except:
1. Desmin
2. Vimentin
3. TTF 1
4. Cytokeratin

Correct answer: 3. TTF 1

Explanation: Wilms tumor Marker of Triphasic tumor. 3 components d/t abnormal mesenchymal differentiation : Blastemal Epithelial Stromal Various markers: Desmin - Muscle cell tumor Vimentin - Mesenchymal cell tumor marker Cytokeratin - Epithelial cell tumor marker TTF-1 (thyroid transcription factor): Lung cancer Thyroid cancer. Adenocarcinoma Small cell Ca of lung.